Occupational Radiation Dose units - (yearly limits) as given by ICRP are
1. 5 mSv per year and 10 mSV in 5 yr period (cumulative)
2. 50 mSv per year and 100 mSv in 5 yr period (cumulative)
3. 500 mSv per year and 2500 mSv in 5 yr (cumulative)
4. 5000 mSv per year and 5 Sv in 5 yr (cumulative)

Correct answer: 2. 50 mSv per year and 100 mSv in 5 yr period (cumulative)